Administration of which vaccine can result in paralysis in children?
1. Sabin polio vaccine
2. Measles vaccine
3. DT vaccine
4. DPT vaccine

Correct answer: 1. Sabin polio vaccine